Fomepizole is antidote of-
1. Mushroom poisoning
2. Benzodiazepine poisoning
3. Ethylene glycol poisoning
4. Organophosphorus poisoning

Correct answer: 3. Ethylene glycol poisoning

Explanation: Ans. is 'c' i.e., Ethylene glycol poisoning Fomepizole is used in methanol poisoning and ethylene glycol poisoning.